True regarding morphine
1. Tolerance develps for all except miosis and constipation
2. Tolerance to all effects develops with chronic usage
3. Tolerance develops for all except euphoria and sedation
4. Tolerance can develop to all effects in high doses

Correct answer: 1. Tolerance develps for all except miosis and constipation

Explanation: A i.e. Toerance develops for all except miosis & constipation